Neurovascular plane in the anterior abdominal wall is between
1. External and internal oblique
2. Internal oblique and transversus abdominis
3. Peritoneum and transversalis fascia
4. Skin and external oblique aponeurosis

Correct answer: 2. Internal oblique and transversus abdominis